Type of glomerulopathy in HIV positive patient is:
1. Focal segmental glomerulosclerosis
2. Diffuse glomerulosclerosis
3. Membranous glomerulopathy
4. Mesangio-proliferative glomerulonephritis

Correct answer: 1. Focal segmental glomerulosclerosis

Explanation: Ans.(a) Focal segmental glomerulosclerosisRef : Robbins 8th ed. / ch 14* HIV nephropathy is associated with development of focal segmental glomerulosclerosis.(also seen with reflux nephropathy) . It is also the commonest cause of nephrotic syndrome in adults.